A young male is brought unconscious to the hospital with external injuries. CT brain showed No midline shift. Basal cistern were compressed with multiple small Haemorrhages. What is the likely diagnosis?
1. Cerebral contusion
2. Cerebral laceration
3. Multiple infarcts
4. Diffuse Axonal injuries

Correct answer: 4. Diffuse Axonal injuries

Explanation: The patient in the clinical scenario having suffered from a traumatic injury was brought unconscious an this CT scan revealed multiple small hemorrhages thus leading to the diagnosis of diffuse axonal injury. It is typical presentation of a patient with diffuse axonal injury. There is a scattered dispersion of the axons following sudden rotational, accelerating or decelerating forces causing the injury. It is common in motor vehicle and auto pedestrian accidents and also in assaults and falls. Ref: The Axon By Stephen G. Waxman, Jeffery D. Kocsis; pages 504 - 508; Brain Injury and Mental Retardation By C. Thomas Gualtieri; page 64 - 65; Harrison's Textbook of Internal Medicine 16th edition; page 2448.